Which among the following is not a cause for cyanosis?
1. Methemoglobin
2. Sulfhemoglobin
3. Cirrhosis
4. Carboxyhemoglobin

Correct answer: 4. Carboxyhemoglobin

Explanation: Cyanosis is caused by reduced hemoglobin. CO poisoning doesn't cause cyanosis. Approximately 5 g/dL of unoxygenated hemoglobin in the capillaries generates the dark blue color appreciated clinically as cyanosis. Causes: Central Nervous System: Intracranial hemorrhage, Cerebral anoxia Respiratory System: Pulmonary Hypertension, Pulmonary embolism, Hypoventilation, COPD Cardiac Disorders: Congenital heart disease, Heart failure, Heart valve disease Blood: Methemoglobinemia, Polycythaemia Others: High altitude, Hypothermia, Congenital cyanosis (HbM Boston), Obstructive sleep apnea